All are associated with chronic osteomyelitis except
1. Amyloidosis
2. Sequestrum
3. Metastatic abscess
4. Myositis ossificans

Correct answer: 4. Myositis ossificans

Explanation: Complications of chronic osteomyelitis Acute exacerbations Growth abnormalities due to damage to the adjacent growth plate Pathological fractures joint stiffness sinus tract malignancy(very rare) : Squamous cell carcinoma Amyloidosis ref : maheswari 9th ed